Increase in intracranial pressure is NOT associated with:
1. Deterioration of consciousness
2. Tachycardia
3. Respiratory depression
4. Increase in BP

Correct answer: 2. Tachycardia

Explanation: B i.e. Tachycardia When intracranial pressure is elevated to More than 33 mmHg over a short period, cerebral blood is significantly reduced l/t deterioration of consciousness. The resultant ischemia stimulates the vasomotor area & systemic blood pressure rises.0 Stimulation of yoga! outflow produces bradycardia & respiration is slowedQ. The blood pressure rise helps to maintain the cerebral blood flow. (Cushing reflex)Q